Which of the following is false about absorption:
1. Glucose absorption through SGLT-1 is active
2. Most of the drugs are absorbed by passive diffusion
3. Acidic drugs are absorbed when pH > pKa
4. Basic drugs are absorbed when pH > pka

Correct answer: 3. Acidic drugs are absorbed when pH > pKa